In an old patient, the best indicator of probability of developing cardiovascular disease can be calculated by:-
1. LDL/HDL ratio
2. Triglycerides
3. Total cholesterol
4. Serum LDL

Correct answer: 1. LDL/HDL ratio

Explanation: Ans. is 'a' i.e. LDL/HDL ratio Among the given options the best indicator is LDL/HDL ratio.Recent trials have found out that levels of plasma apolipoprotein A-l and apolipoprotein B are better predictors of CHD than LDL/HDL ratio.